Last organ to be affected in putrefaction-a) Prostateb) Uterusc) Kidneyd) Thyroid
1. ab
2. ac
3. bd
4. cd

Correct answer: 1. ab

Explanation: Last soft tissue affected in male → Prostate
Last soft tissue affected in female → Uterus
Overall, last tissue affected (both in male & female) →3 Bone